Which of the following is a delayed absorbablesynthetic suture material?
1. Chromic catgut
2. Vicryl
3. Silk
4. Nylon

Correct answer: 2. Vicryl

Explanation: Ans. is 'b' i.e., Vicryl